Characteristic of benign tumour of lung in x-ray is
1. Nodule of 3.5 cm
2. Spiculated margin
3. Cavitation
4. Popcorn calcification

Correct answer: 4. Popcorn calcification

Explanation: Popcorn or homogenous, concentric, Laminar calcification s/o benign lesion.